Xpert MTB/RIF is used in the diagnosis of
1. Tuberculosis
2. Malaria
3. HIV/AIDS
4. HCV

Correct answer: 1. Tuberculosis

Explanation: The Xpert MTB/RIF is a cartridge-based nucleic acid amplification test (NAAT), this automated diagnostic test that can identify Mycobacterium tuberculosis (MTB) DNA and resistance to rifampicin (RIF).